Which is not a part of proximal row of carpal bones?
1. Scaphoid
2. Lunate
3. Triquetral
4. Hamate

Correct answer: 4. Hamate

Explanation: Ans. D HamateRef: Kulkarni Clinical Anatomy, 2nd ed. pg. 80Proximal row of carpals (Lateral to Medial): Scaphoid, Lunate, Triquetral and Pisiform.